Side effects of sclerotherapy in treatment of varicose veins are all except
1. Skin necrosis
2. Thrombophlebitis
3. Anaesthetic complications
4. Anaphylaxis

Correct answer: 3. Anaesthetic complications

Explanation: Sclerotherapy does not require anaesthesia.